Predisposing factor for leukemia -
1. Down syndrome
2. Lowe's syndrome
3. Fragile-x-syndrome
4. None

Correct answer: 1. Down syndrome

Explanation: Ans. is 'a' i.e., Down syndrome